Which of the following is not a constituent of universal antidote?
1. Activated charcoal
2. Tannic acid
3. Magnesium oxide
4. Potassium permanganate

Correct answer: 4. Potassium permanganate

Explanation: Universal antidote is a mixture of activated charcoal,tonnic acid and magnesium oxide.